Two tumours commonly associated with Masquerade syndrome are
1. Conjunctival lymphoma, choroidal melanoma
2. Conjunctival lymphoma, intraocular lymphoma
3. Basal cell carcinoma, retinoblastoma
4. Eyelid sebaceous ca, intraocular lymphoma

Correct answer: 4. Eyelid sebaceous ca, intraocular lymphoma

Explanation: Masquerade syndrome:Intraocular tumour necrosis may present as sterile endophthalmitis. These include a group of diseases which mimic anterior or posterior uveitis in their clinical features but the aetiopathogenesis is entirely different, being usually neoplastic or occasionally ischaemic. Acute leukaemia, iris melanoma, juvenile xanthogranuloma, small round cell malignancies, anterior segment ischaemia, reticulum cell sarcoma or large cell lymphoma are some of the conditions which can present in this manner. Eyelid sebaceous carcinoma and intraocular lymphoma are often associated with masquerade syndromes.